A 8 year old male had non blanching rashes over the shin and swelling of knee joint with haematuria and protein +. Microscopic analysis of his renal biopsy specimen is most likely to show ?
1. Tubular necrosis
2. Visceral podocyte fusion
3. Mesangial deposits of TgA
4. Basement membrane thickening

Correct answer: 3. Mesangial deposits of TgA

Explanation: Ans. is 'c' i.e., Mesangial deposits of IgA o This child has --> i) Rash ii) Arthritis (swelling of knee joint) iii) Haematuria o All these suggest the diagnosis of Henoch Schonlein purpura o HSP is characterized by deposition of IgA in the mesangium.